In air-abrasive technology the abrasive particles used are
1. Iron oxide
2. Tin oxide
3. Aluminium oxide
4. Silicon oxide

Correct answer: 3. Aluminium oxide